In the stomach, H+ ions are secreted in exchange for
1. Na+
2. K+
3. Ca+
4. Cl-

Correct answer: 2. K+

Explanation: H+-K+ ATPase is present in stomach.